A bacterium can divide every 20 minutes. Beginning with a single individual, how many bacteria will be there in the population if there is exponential growth for 3 hours?
1. 512
2. 440
3. 18
4. 1024

Correct answer: 1. 512

Explanation: A bacterium can divide every 20 minutes and exponential growth is for 3 hours,
Thus, C = 1,
And r = 1 (it doubles every time)
n = 3 hours/20 minutes = 9 times
Thus P = C (1 + r)n = 1 (1 + 1)9 = 29 = 512